SIADH is caused by all except -
1. Vincristine
2. Vinblastine
3. Actinomycin D
4. Cyclophosphamide

Correct answer: 3. Actinomycin D

Explanation: Ans. is 'c' i.e., Actinomycin D Drugs causing syndrome of inappropriate ADH (SIADH1 Vasopressin or desmopressin Oxytocin, high dose Carbamazepine Phenothiazines Tricyclic antidepressants Serotonin reuptake inhibitors Chlorpropamide Vincristine or vinblastine Nicotine Cyclophosphamide Monoamine oxidase inhibitors